Carrier state is seen in following, except:
1. Diphtheria
2. Measles
3. Typhoid
4. Polio

Correct answer: 2. Measles

Explanation: Measles